Which of the following hormone is not secreted by kidney:
1. 1,25 dihydroxycholecalciferol
2. Angiotensin I
3. Renin
4. Erythropoietin

Correct answer: 2. Angiotensin I

Explanation: Ans. B. Angiotensin IThe kidney produces three hormones:a. 1,25 dihydroxycholecalciferolb. Reninc. erythropoietinAngiotensinogen is found in the D2 globulin fraction of the plasma. It is synthesized in the liver and is converted to angiotensin I by renin which is further converted to angiotensin II by the action of ACE in lungs.